A hypertensive patient Sattu already receiving a drug 'X' to control his BP was prescribed a tricyclic antidepressant. This resulted in the abolition of the antihypertensive action of 'X'. Which of the following drug can be 'X'?
1. Enalapril
2. Clonidine
3. Atenolol
4. Diltiazem

Correct answer: 2. Clonidine